Depression is most common in patients suffering from which of the following cancer?
1. Brain
2. Pancreas
3. Lungs
4. Kidney

Correct answer: 2. Pancreas

Explanation: In patients with cancer, the mean prevalence of depression is 25%, but depression occurs in 40-50% of patients with cancers of the pancreas or oropharynx. This association is not due to the effect of cachexia alone, as the higher prevalence of depression in patients with pancreatic cancer persists when compared to those with advanced gastric cancer.